Macroglosia is seen in -
1. Amyloidosis
2. Folic acid deficiency
3. Motor neurone disease
4. None

Correct answer: 1. Amyloidosis

Explanation: Ans. is 'a' i.e., Amyloidosis